Pityriasis rotunda is:
1. Fungal infection
2. Bacterial infection
3. Pityriasis affecting nail
4. Variant of Ichthyosis

Correct answer: 4. Variant of Ichthyosis

Explanation: Pityriasis rotunda - Pityriasis rotunda is described as a persistent, large, sharply defined circular patch of dry ichthyosiform scaling with no inflammatory changes. Variant of Ichthyosis Fixed, annular, scaling, dry-skin change More often seen in the African and Asian races Associated with neoplasia, particularly Hepatocellular carcinoma.